Which is not true regarding Zona pellucida ?
1. Surrounds morula
2. Acellular
3. Acetylcholine is the barrier
4. Surrounds the ovum

Correct answer: 3. Acetylcholine is the barrier

Explanation: rThe zona pellucida (ZP) is a specialized extracellular matrix surrounding the developing oocyte (egg, ovum) within each follicle within the ovary. This thick matrix is thought to be formed by secretions from the oocyte and the follicle granulosa cells and in human oocytes consists of four types of zona pellucida glycoproteins ZP1, ZP2, ZP3and ZP4 which have different roles in fertilization. The zona pellucid has many different roles including in oocyte development, protection during growth and transport, fertilization , spermatozoa binding, preventing polyspermy , blastocyst development, and preventing premature implantation . REF - pubmed.com